Organophosphate insecticides are all except:
1. Dieldrin
2. Fenthion
3. Diazinon
4. Chlorpyrifos

Correct answer: 1. Dieldrin

Explanation: Organo phosphorous insecticides Malathion Parathion Fenthion Diazion Fenitrothion Chlorpyrifos Dioxathion Chlohion Organo chlorine insecticides DDT BHC (HCH) Lindane Dieldrin Carbamate insecticides Carbaryl Propoxur